What is true regarding congenital hypertrophic pyloric stenosis -
1. More common in gilrs
2. Hypochloremic alkalosis
3. Hellers myotomy is the procedure of choice
4. Most often manifests at birth

Correct answer: 2. Hypochloremic alkalosis

Explanation: Ans. is 'b' i.e., Hypochloremic alkalosis Heller's myotomy is the surgery for Achlasia Cardia, not HPS.